Earliest site of bone involvement in hematogenous osteomyelitis is -
1. Metaphysis
2. Epiphysis
3. Diaphysis
4. Apophysis

Correct answer: 1. Metaphysis

Explanation: Ans. is 'a' i.e., Metaphysis Pathophysiology of acute osteomyelitiso Organism reach the bone through blood stream from a septic focus elsewhere in the body, o Metaphysis of long bone is the earliest and most common site involved because : -Metaphysis is highly vascularCommonest site is metaphysis. This is because of the peculiar arrangement of the blood vessels in that area, which leads to relative vascular stasis, favouring bacterial colonization..Metaphysis has relatively few phagocytic cells than physis or diaphysis.Metaphysis has thin cortex.